All of the following bacteria shows bipolar staining except?
1. Y pestis
2. H influenza
3. Fransciella
4. Pastuerella

Correct answer: 2. H influenza

Explanation: H.ducreyi shows bipolar staining whereas H.influenza doesnot.